Rx of latent syphilis  a) Penicillin  b) Erythromycin  c) Tetracycline  d) Ciprofloxacin
1. ac
2. ab
3. bc
4. bd

Correct answer: 1. ac